Which of the following antihistamine can be used topically in allergic rhinitis?
1. Terfenadine
2. Azelastine
3. Cetrizine
4. Fexofenadine

Correct answer: 2. Azelastine

Explanation: Azelastine, Astemizole, Ketotifen, Olopatadine are the antihistaminics that can be used topically in allergic rhinitis and conjuctivitis.